In low ovarian reserve, Anti Mullerian hormone level will be:-
1. <1
2. 4-Jan
3. >7
4. >10

Correct answer: 1. <1

Explanation: Ovarian Reserve < 1 is low , more than 2 is normal Markers of a REDUCED ovarian reserve are: Increasing age, especially beyond 35 Decreased ovarian volume Decrease estrogen Decrease Antral Follicular count High serum FSH, especially more than 15 Reduced Inhibin, especially lesser than 45 pg/ml Low AMH - (SINGLE BEST TEST )